Cholecystokinin causes all of the following except:-
1. Gall bladder contraction
2. Pancreatic enzyme secretion
3. Increases gastrin secretion
4. Increases small intestinal motility

Correct answer: 3. Increases gastrin secretion

Explanation: Cholecystokinin: - Stimuli for secretion Site of secretion Actions Protein, Fat, Acid -I cells of duodenum, jejunum and ileum Stimulates- Pancreatic enzyme secretions Pancreatic bicarbonate secretions Gallbladder contraction Growth of exocrine pancreas Inhibits- Gastric emptying